In a patient, only Anti HBsAg is positive in serum. All other viral markers are negative. This indicates:
1. Acute hepatitis
2. Chronic active hepatitis
3. Persistent carrier
4. Immunized person with Hepatitis B vaccine

Correct answer: 4. Immunized person with Hepatitis B vaccine